Fibromuscular wall is seen in:
1. Gall bladder
2. Duodenum
3. Jejunum
4. ileum

Correct answer: 1. Gall bladder

Explanation: Ans. is 'a' i.e., Gall bladder o The extrahepatic biliary tree and gallbladder share a similar microscopic anatomy, consisting of a fibro muscular wall lived by mucin producing columnar epithelium similar to that seen in intrahepatic bile ducts.Gall bladder (review)o Gall bladder is a pear-shaped small sac attached to the visceral surface of liver,o It is 7-10 cm long, 3cm broad at widest part and about 30-50 ml in capacity.o The lowest part of gall bladder which is called fundus, projects beyond the inferior border of liver,o The central part is called body.o The narrow part succeeding the body is called neck. The neck is connected to cystic duct through which gall bladder drains into the bile duct.o The wall of the gall bladder is made up of mucous membrane, a flbromuscular coat and a serous layer that coverts part of the organ.o The mucosa of gallbladder is noted for outpouchings of surface mucosa, which extend into and through muscular fibers. These out pouchings are called Rokitansky-Aschoff sinuses,o Gall bladder is supplied by cystic artery.o Lymphatic drainage of gall bladder is to cystic node and to the node of anterior border of epiploic foramen,o Gall bladder stores and concentrates bile. This bile is discharged into duodenum when required.